Germ theory of disease was proposed by ?
1. Louis Pasteur
2. James Linds
3. Aristotle
4. Pattenkoffer

Correct answer: 1. Louis Pasteur

Explanation: Ans. is 'a' i.e., Louis Pasteur Germ theory of disease - Louis pasteur Spontaneous generation theory - Aristotle Multifactorial causation of disease - Pattenkoffer. Intake of fresh (citrus) fruits in prevention of scurvy - James Lind Term 'Vaccination' Edward Jenner Term 'Vaccine' Louis Pasteur Life cycle of plasmodium - Ronald Ross Transmission of yellow fever Walter Reed First vaccine developed - Small pox (Edward Jenner) First antibiotic - Penicillin (Alexander Fleming) Growth chart David Moley